All are true about haemorrhagic stroke except
1. 10% of all cases of stroke
2. Most common site is Pons
3. Cocaine users are at risk
4. 35 - 45% die in first month

Correct answer: 2. Most common site is Pons

Explanation: INTRACEREBRAL HEMORRHAGEICH accounts for ~10% of all strokes, and about 35-45% of patients die within the first month. Hypertension, coagulopathy, sympathomimetic drugs (cocaine, methamphetamine), and cerebral amyloid angiopathy cause the majority of these haemorrhages.Advanced age and heavy alcohol consumption increase the riskICH generally presents as the abrupt onset of a focal neurologic deficit. Seizures are uncommon. Although clinical symptoms may be maximal at onset, commonly the focal deficit worsens over 30-90 min and is associated with a diminishing level of consciousness and signs of increased ICP such as headache and vomiting.The most common sites are the basal ganglia (especially the putamen), thalamus, cerebellum, and ponsThe putamen is the most common site for hypertensive haemorrhage, and the adjacent internal capsule is usually damaged. Ref: Harrison 19e pg: 2582